Brochardt's triad of acute epigastric pain, violent retching and inability to pass a nasogastric tube is seen in patients with-
1. Achalasia cardia
2. Acute gastric volvulus
3. Jejunogastric intussusception
4. Hiatus hernia

Correct answer: 2. Acute gastric volvulus

Explanation: Ans. is 'b' i.e., Acute gastric volvulus Acute gastric volvulus causes severe abdominal pain accompanied by the diagnostic triad k/a Brochardt's triad. Brochardt's triad includes : vomiting followed by retching and then inability to vomit. epigastric distention inability to pass nasogastric tube.